Lowest incidence of cerebral tumours is seen in -
1. Occipital
2. Frontal
3. Temporal
4. Parietal

Correct answer: 1. Occipital